Gguardian of the genome"?
1. p53
2. Mdm2
3. pl4
4. ATM

Correct answer: 1. p53

Explanation: . p53